Irreversible steps of Glycolysis are catalysed by:
1. Hexokinase, Phosphofructokinase, Pyruvate Kinase
2. Glucokinase, Pyruvate Kinase, Glyceraldehyde 3 Phosphate Dehydrogenase
3. Hexokinase, Phospho Glycerate Kinase, Pyruvate Kinase
4. Pyruvate Kinase, Fructose 1,6 Bisphosphatase, Phospho FructoKinase

Correct answer: 1. Hexokinase, Phosphofructokinase, Pyruvate Kinase

Explanation: Ans. A. Hexokinase, Phosphofructokinase, Pyruvate Kinase(Ref: Harper 29/e page 171-174, Harper 31/e page 160,161)Remember: All the Kinases are irreversible except 1,3 Bisphospho Glycerate Kinase which is reversible.